Which is called as peripheral heart ?
1. Popliteus
2. Soleus
3. Plantaris
4. None

Correct answer: 2. Soleus

Explanation: Ans. is 'b' i.e., Soleus Soleus is known as 'peripheral heart' as it helps in venous return from lower limb.